Synovial chondromatosis commonly affects
1. Hands
2. Knees
3. Pelvis
4. Vertebrae

Correct answer: 2. Knees